Light touch on a patient's face causes sever pain. This is best described as?
1. Paresthesia
2. Allodynia
3. Dysesthesia
4. Peripheral neuropathy

Correct answer: 2. Allodynia

Explanation: ANSWER: (B) AllodyniaREF: Ganong 22nd ed chapter 7, Classification of chronic pain IASP Task Force on Taxonomy by H. Merskey and N. Bogduk 2nd ed pp 209-214Indirect repeat Physiology 2013 Session 2See previous question